A child presents with seborrheic dermatitis, sinusitis and chronically draining ears. On examination child has failure to thrive, with hepatosplenomegaly and exophthalmos, probable diagnosis is:
1. Histiocytosis X
2. Wegener's granulomatosis
3. Retinoblastoma
4. Chediak-Higashi syndrome

Correct answer: 1. Histiocytosis X

Explanation: a. Histiocytosis X(Ref: Nelson's 20/e p 2484-2489, Ghai 8/e 620-621)The given clinical picture prints to a diagnosis Langerhans cell; Histiocytosis of previously called Histiocytosis X.